A form of torture where the legs and thighs are tied very tightly with bamboo sticks:
1. Chepuwa
2. Saw horse
3. Black slave
4. Ghotna

Correct answer: 1. Chepuwa

Explanation: CHEPUWA : The legs and thighs are tied very tightly with bamboo sticks to induce severe pain GHOTNA : Rolling a wooden log over the thighs up & down, while the log is weighed by one or two policemen standing on it BLACK SLAVE : Heated metal skewer inserted into the anus SHAM EXECUTION : Victim is blind folded and asked to stand before a wall and then threatened that a vehicle is going to hit him. He hears the sound of a vehicle very near to him, causing fear and shock * DUNKING : Victim is immersed into water, taken out after some time and given a chance to confess. LA BANDERA : Suspension by wrist. MURCIELAGO: Suspension by ankles. EL PLANTON : Prolonged standing. SAW HORSE : Forced straddling of a bar.